Which of this part of vertebral canal will show secondary curves with concavity backwards?
1. Cervical
2. Thoracic
3. Sacral
4. Coccyx

Correct answer: 1. Cervical

Explanation: A i.e. Cervical Because of cervical & lumbar lardosis, the secondary (2deg) curves of cervical & lumbar region show anterior convexity (or posterior concavity)